Shortest incubation period is seen in
1. Hepatitis A
2. Hepatitis B
3. Rubella
4. Influenza

Correct answer: 4. Influenza

Explanation: Influenza Causative Agent: Orthomyxovirus, 3 types : A, B, C Type A: MC cause of outbreaks/Epidemics ; Only cause of Pandemics Type B. Type C: Not circulating currently Incubation period : 18-72 hours Period of Infectivity : 1-2 days before to 1-2 days after onset of symptoms Ref:Park's Textbook of Preventive and Social Medicine 25th Edition Pgno : 167-172